Not a germ cell tumor of ovary:
1. Endodermal sinus tumor
2. Polyembryoma
3. Dysgerminoma
4. Brenner tumor

Correct answer: 4. Brenner tumor

Explanation: Germ cell tumors (GCT) account for 15-20% of ovarian tumors and the vast majority (95%) are benign cystic teratomas. The remaining 5% are found principally in children and young adults and have a higher incidence of malignant behavior various germ cell tumors are as under:

Mature (benign) teratomas
Immature (malignant) teratomas
Monodermal or highly specialized teratomas         
Dysgenninomas
Endodermal (yolk) sac tumors
Choriocarcinoma
Embryonal carcinoma  
Polyembryoma
Mixed germ cell tumors (MGCT)

Brenner tumors are uncommon tumors which account for less than 2% of ovarian neoplasms. These solid neoplasms are characterized by a dense fibrous stroma "punctuated" by nests of transitional cells resembling those lining the urinary bladder. Brenner tumors are occasionally found in mucinous cyst adenomas suggesting that these tumors arise from coelomic epithelial inclusion cysts through metaplasia of the cyst lining of transitional epithelium.